Hellers operation is indicated for
1. Achlasia
2. Gastric cancer
3. Esophageal cancer
4. Hiatus hernia

Correct answer: 1. Achlasia

Explanation: Ans. is 'a' i.e., Achalasia * The most common surgical procedure for achalasia is laparoscopic Heller myotomy, usually performed in conjunction with an antireflux procedure (partial fundoplication); good to excellent results are reported in 62- 100% of cases.